Not a function of primary health care center:
1. Referral services
2. Safe water supply
3. Supervising sample registration system
4. MCH including family planning

Correct answer: 3. Supervising sample registration system

Explanation: Ans. C: Supervising sample registration system Functions of primary health centers include referral services, safe water supply and basic sanitation, maternal-child health including family planning etc. Sample registration system is a dual record system, consisting of a continuous enumeration of births and deaths by an enumerator and an independent survey every 6 months by an investigator supervisor.